ALLOSTERIC INHIBITION OF PFK-1 IS BY ALL EXCEPT ?
1. CITRATE
2. ATP
3. H+
4. AMP/ADP

Correct answer: 4. AMP/ADP

Explanation: Allosteric Inhibition * Oligomeric enzymes --those with multiple active sites in one multi subunit protein- are commonly subjected to allosteric inhibition. Catalytic proteins containing both an active site and a modulator site are called allosteric enzymes. - In allosteric inhibition, the inhibitor binding to one subunit of an enzyme may decrease the catalytic activity of the of all the subunits. PFK 1- INHIBITED BY CITRATE,ATP,H+ //PROMOTED BY AMP/ADP,F2,6,BP REF : VASUDEVAN 7TH ED